Treatment for benign tumor of superficial lobe is
1. Superficial parotidectomy
2. Enucleation
3. Complete parotidectomy
4. Observation

Correct answer: 1. Superficial parotidectomy

Explanation: All tumors of the superficial lobe of the parotid gland are treated by superficial parotidectomy.